Soap bubble appearance at the lower end of the radius, the treatment of choice is -
1. Local excision
2. Excision and bone grafting
3. Amputation
4. Radiotherapy

Correct answer: 2. Excision and bone grafting

Explanation: Treatment of choice for different sites is as follows.


The lower end of ulna, the upper end of fibula →  Excision of a tumour
Lower end radius →  Excision with reconstruction by ipsilateral fibula.
Around knee (lower end of the femur or upper end of the tibia) →  Excision with prosthetic replacement or arthrodesis.


Small tumours at any site are usually treated by curettage and bone grafting or cementing.